Mumps most commonly affects the:
1. Parotid gland
2. Submandibular gland
3. Sublingual gland
4. Lacrimal gland

Correct answer: 1. Parotid gland

Explanation: Ans. A i.e. Parotid gland